Fibrotomy to prevent Rotational relapse was advocated first by
1. Edwards
2. Peck and Peck
3. Ashley Howes
4. Carey

Correct answer: 1. Edwards